Incubation period less than 10 days seen -a) Influenzab) Cholerac) Plagued) Chickenpoxe) Rabies
1. abc
2. bc
3. acd
4. bcd

Correct answer: 1. abc